HPV associated with Adenocarcinoma of cervix :
1. Type 6
2. Type 18
3. Type 11
4. Type 42

Correct answer: 2. Type 18

Explanation: HPV High oncogenic risk: Types 16,18, 31, 33, 35, 45, 56 Low oncogenic risk: Types 6,11, 42, 43 Ref: D.C.DUTTA'S TEXTBOOK OF GYNAECOLOGY; 6th edition; Pg no:323